In Egg, Egg white contributes
1. 58%
2. 50%
3. 30%
4. 70%

Correct answer: 1. 58%